A patient sustained traumatic injury to major abdominal vessels. It has been planned to explore the Suprarenal Aorta, the Celiac Axis, the Superior Mesenteric Artery, and the Left Renal Artery. Which maneuver is recommended for exposure of all these structures?
1. Cranial visceral Rotation
2. Caudal visceral Rotation
3. Left Medial Visceral Rotation
4. Right Medial Visceral Rotation

Correct answer: 3. Left Medial Visceral Rotation

Explanation: Since the patient in the question has sustained traumatic injury to major abdominal vessels, left medial visceral rotation would be the most appropriate maneuver to explore all the major abdominal vessels. In this technique, the entire length of abdominal aorta from the aortic hiatus to its bifurcation into the common iliac arteries is exposed. Ref: Oxford Desk Reference-Major Trauma page,Page 306; Mastery of Vascular And Endovascular Surgery By Gerald B. Zelenock, page 640.